Michaelis Gutmann bodies are seen in -
1. Xanthogranulomatous pyelonephritis
2. Malakoplakia
3. Nail patella syndrome
4. none of these

Correct answer: 2. Malakoplakia

Explanation: Robbins basic pathology 6th edition. chapter The lower urinary tract. page no. 1002. answer is Malacoplakia. laminated mineralized concretions known as michaelis gutmann bodies are typically present both within macrophages and between cells. It is a vesical inflammatory reaction characterised macroscopically by soft,yellow,,slightly raised mucosal plagues 3 to 4 cm in diameter.